Which vaccine is not including in Indradhanush mission?
1. Tuberculosis
2. Measles
3. Meningococcal meningitis
4. Diphtheria

Correct answer: 3. Meningococcal meningitis

Explanation: Ans. c. Meningococcal meningitisThe Mission Indradhanush, depicting seven colors of the rainbow, targets to immunize all children against seven vaccine preventable diseases namely:DiphtheriaPertussisTetanushildhood tuberculosisPolioHepatitis BMeasles